Tafenoquine - anti TB drug has been approved in July 2018 for
1. Radicle cure of P falciparum
2. Radicle cure of P vivax
3. Clinical cure of P falciparum
4. Clinical cure of P vivax

Correct answer: 2. Radicle cure of P vivax

Explanation: orally active 8 amino qinolone. It is a heame polymerase inhibitor. it is a prodrug and is active againist all liver forms includung hypnozoits. Molucular target is not exactly kmown